All of the following structures are within the parotid gland except
1. Facial artery
2. Facial nerve
3. External carotid artery
4. Retromandibular vein

Correct answer: 1. Facial artery

Explanation: The first plane is the venous plane and consists of the retromandibular vein and its tributaries and branchesDeep to venous plane is the important nervous plane. The importance of this plane is the presence of the facial (VII) nerve. The facial nerve leaves the skull through the stylomastoid foramen and immediately enters the deep part of the parotid gland where it gives off its branches:Posterior auricularMotor branch to posterior belly of digastricTemporal branchZygomatic branchBuccal branchesMandibular branchCervical branchDeep to the nerves lies the arterial plane which includes terminal parts of the external carotid artery and its branches:External carotid arteryOccipital arteryMaxillary arteryTransverse facial arterySuperficial temporal arteryThe deepest part of the parotid region is the parotid bed and houses the deep part of the gland which fills the small space between the neck of the condyle of the mandible and the mastoid process. Other structures forming the floor of this space are the:Styloid processStylohyoid muscleStylopharyngeus musclePosterior belly of the digastric muscle